Iron deficiency causes-
1. Megaloblastic anemia
2. Microcytic hypochromic anemia
3. Macrocytic hypochromic anemia
4. Microcytic hyperchromic anemia

Correct answer: 2. Microcytic hypochromic anemia

Explanation: In Fe deficiency anemia the red cells become microcytic and hypochromic & poikilocytosis become more marked . Ref:Postgraduate Hematology by Victor Hoffbrand pg39 Ref Robbins 9/e pg422